In which of the following periods the fetus is most likely to be affected if the mother has varicella zoster infection?
1. 8-14 weeks
2. 14-28 weeks
3. 28-32 weeks
4. 32-37 weeks

Correct answer: 2. 14-28 weeks

Explanation: Transmission of chickenpox is maximum between 13 - 20 weeks & peripartum period In women with chicken pox during the first half of pregnancy, the fetus may develop congenital varicella syndrome.